A- 3 month old female infant weight 4 kg and is suffering from loose motions. On examiantion she is found to be suffering from some dehydration.The amount of ORS to be given to her in the first four hour will be -
1. 100 ml
2. 300 ml
3. 500 ml
4. 600 ml

Correct answer: 2. 300 ml

Explanation: Ans. is 'b' i.e., 300 ml Guidlines for treating patients with some dehydration (but not severe dehydration) treatment plan B o Basic is to give 75 ml/kg of ORS in the first 4 hours. Weight ORS solution to give in first 4 hours < 5 kg 200-400 ml 5-8 kg 400-600 ml 8-11 kg 600-800m1 11-16 kg 800- 1200 ml 16-30 kg 1200-2200 ml >30 kg > 2200 ml